Force maintained at some appreciable fraction of the original from one patient visit to the next is:
1. Continuous force
2. Intermittent force
3. Interrupted force
4. None of the above

Correct answer: 1. Continuous force